Which of the following Aspergillus species produce black coloured colonies on sabaraud's dextrose agar?
1. A fumigatus
2. A niger
3. A flavus
4. None

Correct answer: 2. A niger

Explanation: Aspergillus fumigatus produce green colonies A niger -black colonies A flavus-golden-yellow colonies Ref: Baveja 5th ed pg: 559